Which of the following drugs is most likely to precipitate angina?
1. Amlodipine
2. Nifedipine
3. Diltiazem
4. Verapamil

Correct answer: 2. Nifedipine

Explanation: Vasodilators and peripherally acting CCBs (Dihydropyridines) can cause tachycardia and thus may precipitate acute attack of angina. Risk of tachycardia is more with short acting drugs like nifedipine than with long acting agents like amlodipine. Diltiazem & Verapamil --> decreases HR and also cause vasodilation.